Substance that is completely reabsorbed from the PCT -
1. Na+
2. K+
3. Urea
4. Glucose

Correct answer: 4. Glucose

Explanation: Ans. is 'd' i.e, Glucose Important educational points* 60-70% of glomerular filtrate is reabsorbed in proximal tubule.* Na+ reabsorption occurs in all segments of nephron excepting descending limb of loop of Henle. 60% (60-70%) of filtered Na+ is reabsorbed in proximal tubule. About 30% of filtered Na+ is reabsorbed in thick ascending limb of loop of Henle. About 7% of filtered Na+ is reabsorbed in early distal tubules and about 3% of filtered sodium is reabsorbed in late distal tubule and collecting duct.* About 65% (60-70%) of water is reabsorbed in the proximal tubule and about 15% of water is reabsorbed in the thin descending limb. Remaining 20% of water enters the distal tubules and is absorbed from distal tubule and collecting duct according to the homeostatic requirements of the body, under the control of ADH.* All substances (Na+, K+, HCO3, Cl -, Phosphate, Protein, Glucose, water) are maximally absorbed in proximal tubule.* Glucose and amino acids are completely absorbed from proximal tubules along with Na+ as secondary active transport contransport (symport).* H+ is not absorbed by nephrons anywhere it is only secreted (in proximal tubule, late distal tubule and cortical collecting tubules).* Substances which are both secreted and reabsorbed are K+, uric acid and creatinine.* On a normal diet maximum solutes are reabsorbed almost completely : Glucose : 100%, Aminoacids 100%, HCO3-: 100%, Water : 99.4%, Na+: 99.4%, Cl-: 99.2%, Uric acid: 98%, K+ : 93.3%, Urea: 53%, and Total solutes : 98.9%* Amount secreted per day of different filtered contents are : Na+ : 150 mEq/d, K+ : 90 mEq/d, Cl : 150 mEq/d, Glucose : 0, Amino acid : 0, HCO3 : 0, Uric acid: 5 mmol/d, Creatinine: 12 mmol/d, Urea: 410 mmol/d, Water: 1-1.5 L/d; and total solutes : 700 mOsm/d.